A young adult presented with diminished vision. On examination he has anterior uveitis, vitritis, focal necrotizing granuloma, macular spot. What is the most probable diagnosis?
1. Proteus syndrome
2. White dot syndrome
3. Multifocal choroiditis
4. Ocular toxoplasmosis

Correct answer: 4. Ocular toxoplasmosis

Explanation: Focal necrotizing granuloma in this question suggests that it may be a case of ocular toxoplasmosis.